SI unit of radioactivity is:
1. Rem
2. Rad
3. Becuerel
4. Curie

Correct answer: 3. Becuerel

Explanation: Ans. C i.e. Becquerel